Most common cause of spontaneous SAH
1. Trauma
2. Aneurysm
3. AV malformation
4. Hypertension

Correct answer: 2. Aneurysm

Explanation: *85%of SAH are caused by saccular or 'berry' aneurysms arising from the bifurcation of cerebral arteries particularly in region of the circle of willis . Ref Harrison20th edition pg 2445